Wischnewski ulcers are:
1. Gastric ulcers in hypothermia
2. Gastric ulcers in burns
3. Duodenal ulcers in hypothermia
4. Duodenal ulcers in burns

Correct answer: 1. Gastric ulcers in hypothermia

Explanation: Autopsy Findings in hypothermia: Postmortem lividity is pinkish - due to persistent oxyhemoglobin in the capillaries. Due to cold, there is low metabolic activity and cold tissues fail to take up the delivered oxygen. Rarely skin is pale (white) and thus hypothermic deaths are also called as "white deaths". Skin may show erythematous patches or irregular red or violet patches on exposed parts of body. They are often present over extensor surfaces of large joints, such as the outer side of hips, the elbows and knees and at flank and face. Gastric mucosa may show small hemorrhages and ulceration (Wischnewski ulcers) Kidneys may show signs of acute tubular necrosis Urinary catecholamine levels are elevated in hypothermic deaths. The increased level of catecholamine indicate prolonged agonal stress. There is hyperglycemia with glucose in urine.